Dragon or serpent worm is:
1. Enterobius
2. Trichuris
3. Dracunculus
4. T. Solium

Correct answer: 3. Dracunculus

Explanation: Ans. is 'c' i.e., Dracunculus(Ref: Harrison, 19th/e, p. 1422-1423; Chatterjee, 12th/e, p. 203)* Dracunculus medinensis is also known as Guinea worm, Serpent worm, Dragon worm, Medina worm.